Kartagener's syndrome increase risk of -
1. Brochitis
2. Bronchiolitis
3. Brochieactasis
4. Tracheitis

Correct answer: 3. Brochieactasis

Explanation: Ans. is 'c' i.e., Bronchieactasis